What percent of retinoblastomas are Bilateral?
1. 10
2. 20
3. 30
4. 50

Correct answer: 3. 30

Explanation: Retinoblastoma is the most common primary malignant intraocular tumor in children, occurring in approximately one of 20000 births. In 30% of all cases, it is bilateral.